Botulism is most commonly seen with
1. Food with preservatives
2. Home canned food
3. Commercially canned food
4. Unpasteurized milk

Correct answer: 2. Home canned food

Explanation: The source of botulism is usually preserved food, meat, and meat products. Proteolytic varieties of clostridium botulinum can digest food, which then appears spoiled. The cans are often inflated and show bubbles on opening. Non-proteolytic varieties leave food unchanged. Reference: Textbook of Microbiology; Anathanarayan and paniker's; 10th edition; Page no: 269